Bulkeley membrane is seen in :
1. Psoriasis
2. Pemphigus
3. Tinea
4. Pityriasis

Correct answer: 1. Psoriasis

Explanation: A. i.e. Psoriasis